The average root surface area of maxillary first molar is
(in mm2)
1. 433
2. 431
3. 426
4. 400

Correct answer: 1. 433